Fimbriectomy is also known as:
1. Pomeroy technique
2. Uchid's procedure
3. Kroener's procedure
4. Irving's procedure

Correct answer: 3. Kroener's procedure

Explanation: The technique of fimbriectomy as described by kroener employs the ligation of the distal ampulla of the tube with two permanent sutures and then division and removal of the infundibulum of the tube. Pomeroy technique: The most popular technique of tubal ligation is the Pomeroy operation. The fallopian tube is identified on each side, brought out through the incision, and the middle portion is formed into a loop which is tied at the base with catgut and excised. Irving's procedure: The mid-portion of the tube is ligated and the intervening portion excised. The proximal end is buried in the myometrium and the distal end is buried in the broad ligament. It is a reliable method but is irreversible and may require a laporotomy incision. Uchida's method: The tubal serosa is stripped off the muscular layer in the mid-segment of the tube, which is then excised. The proximal end is ligated and buried in the broad ligament. The minimal excision of the tube preserves the potential for tuboplasty. Ref: Shaw's textbook of 17th edition Pgno: 272,273